The prerequisite for endoscopic sinus surgery is
1. MRI of paranasal sinuses
2. CT of paranasal sinuses
3. Mucocilliary clearing testing
4. Acoustic tests

Correct answer: 2. CT of paranasal sinuses

Explanation: Endoscopic surgery of inflammatory diseases of paranasal sinuses (sinusitis or polyp) requires a very detailed preoperative knowledge of the individual anatomical conditions and pathological changesCT scan is used best to visualize sinus areasCT scan provides an excellent definition of paranasal sinuses and is a prerequisite for endoscopic surgeryRef: PL Dhingra, Diseases of Ear, Nose & Throat, 7th edition, pg no. 220 - 221